Investigation for injury of knee cartilage
1. Aspiration
2. Arthrography
3. X-ray
4. Arthroscopy

Correct answer: 4. Arthroscopy

Explanation: D i.e. Arthroscopy